The axial length of eyeball at birth is ……………………… % of an adult eye –
1. 100
2. 90
3. 70
4. 40

Correct answer: 3. 70

Explanation: Anteroposterior diameter of eyeball at birth is about 16.5 mm (70% of adult size which is attained by 7-8 years).